Micropsia with visual hallucinations is seen in
1. Lilliputian hallucinations
2. Cornea tears
3. Optic atrophy
4. Opioid withdrawal

Correct answer: 1. Lilliputian hallucinations

Explanation: Seen usually in alcoholic hallucinations